Which of the following is a characteristic feature of chronic myeloid leukemia (CML)?
1. Auer rods
2. Basophilia
3. Increased LAP score
4. Bone marrow fibrosis

Correct answer: 2. Basophilia

Explanation: Characteristic features of CML are massive splenomegaly, hyperleucocytosis, peripheral blood Basophilia & Philadelphia Chromosome/ t(9;22).